Loss of extension of little ring finger, hypothenar atrophy is seen in injury of:
1. Post interosseous nerve
2. Radial trunk
3. Ulnar Nerve
4. Median nerve

Correct answer: 3. Ulnar Nerve

Explanation: Ans. c. Ulnar nerve before division into superficial and deep branches (Ref: BDC 4/vol-I/123) Nerve damaged in case of numbness of little and ring finger, atrophy of hypothenar muscles is ulnar nerve, before division into superficial and deep branches. Supplied muscles Ulnar Nerve (C7C8T1) Musician's NerveQ Median Nerve (C5678T1) Laborer's nerveQ Axilla and Arm No branch No branch Forearm * Flexor carpi ulnarisQ * Flexor digitorum profundus (medial half)Q * Flexor carpi radialis * Flexor digitorum profundus (lateral half) * Flexor digitorum superficialisQ * Flexor pollicis longus * Palmaris longus * Pronator teres and quadratusQ Hand * Last two (3rd and 4th) lumbricalsQ * Palmar and dorsal interosseiQ * Thenar muscles: - Adductor pollicisQ * Hypothenar muscles: - Palmaris brevis - Abductor digiti minimi - Flexor digiti minimi - Opponens digiti minimi * 1st two (1st and 2nd) lumbricalsQ * Thenar muscles: * Abductor pollicis b.revisQ * Flexor pollicis brevisQ * Opponens pollicisQ